Drug X is useful in the treatment of rheumatoid arthritis. It is available only in the parenteral formulation and its mechanism of action is antagonism of tumor necrosis factor. Which of the following can be X?
1. Cyclosporine
2. Penicillamine
3. Phenylbutazone
4. Etanercept

Correct answer: 4. Etanercept